True about vertebral artery -a) Enter skull through condylar canal.b) Branch of internal carotid arteryc) Branch of subclavian arteryd) Accompany sympathetic ganglione) Passes through foramen transversarium of cervical vertebrae
1. abd
2. acd
3. cde
4. ade

Correct answer: 3. cde

Explanation: Vertebral artery enters skull (posterior cranial fossa) through foramen magnum.
Vertebral artery is a branch of subclavian artery.
It is accompanied by sympathetic peri-arterial plexus, inferior cervical (stellate) sympathetic ganglion and ventral rami of 7th and 8th cervical spinal nerves.
Vertebral artery passes through foramina transversaria of upper six cervical vertebrae.